All of the following statements about SACH feet are true, except:
1. 'SACH' stands for 'Solid Ankle Cushioned Heal'
2. Forms the base of a lower limb prosthesis
3. May wear out with time
4. Wooden keel absorbs the impact of heel strike

Correct answer: 4. Wooden keel absorbs the impact of heel strike

Explanation: D i.e. Wooden keel absorbs the impact of heel strike The SACH (Solid Ankle Cushioned Heel) foot is the most basic non articulated foot design that forms the base (or terminal part) of lower limb prosthesisQ. It has a central wooden keel and a compressible cushioned rubber (foam) heel. The heel absorbs the impact (shock) of heel strike and provides pseudoplantar flexion (flexibility) whereas the rigid wooden keel provides mid stance stability. Prosthetic Feet: Types SACH (Solid Ankle Cushioned Heel) Foot The SACH (Solid Ankle Cushioned Heel) foot is the most basic non articulated foot design that forms the base (or terminal part) of lower limb prosthesisQ. It has a central wooden keel and a compressible cushioned rubber (foam) heel. The heel absorbs the impact (shock) of heel strike and provides pseudoplantar flexion (flexibility) whereas the rigid wooden keel provides mid stance stability but very little lateral movement. Forefoot dorsiflexion is simulated by flexible toe portion distal to internal keel. - It is frequently prescribed because it is inexpansive, moderately light weight, durable, cosmetically good, with minimal maintenance b/o nonmoving components. It provides good shock absorption for - moderate (mainly surface level) activities, has no contraindications and is available in various heel sizes so people can wear different shoes with them. - However, the rigid fore foot provides poor shock absorption for high activities. Other disadvantages include limited dorsiflexion adjustability and loss of elasticity and deterioration of heel cushion with times. Single Axis Foot Two bumpers provide limited controlled Plantar dorsiflexion at ankle.It is heavier & higher maintenance foot because dust can damage bumper mechanism (in comparison to SACH) Multiaxial Foot - Provide movements in 3 planes and accommodates uneven walking surfaces SAFE (Stationary Attachment Flexible Endoskeleton) Foot -Several flexible internal keels allow triplaner movement & easy roll over with stability during stance phase - Light weight and good for old people Dynamic Response (Energy Storing) Foot - Elastic keels absorbs energy during mid & terminal stance & release it during pre swing & initial swing.- Examples include Seattle / College Park/ Otto Block / Quantum / Flex / Carbon copy II- Foot